D.I.C. is seen in :
1. >Acute promyelocytic leukemia
2. >Acute myelomonocytic leukemia
3. >CMC
4. >Autoimmune hemolytic anemia

Correct answer: 1. >Acute promyelocytic leukemia

Explanation: Acute promyelocytic leukemia Disseminated intravascular coagulation is associated with promyelocytic leukemia Acute promyelocytic leukemia (AML-M3) constitutes 5-10% of all cases of AML The leukemic cells of these type of anemia are hypergranular. Granules of these leukemic cells (promyelocytes) contain thromboplastin like material resulting in widespread disseminated intravascular coagulation. Also know Majority of M3 cases demonstrate a reciprocal translocation involving chromosome 15 and 17, t (15 ; 17)